A patient with sulphur granules discharging from sinus, suggestive of infection with:
1. Staphylococcus
2. H ducryei
3. Mycetoma
4. Sporotrichosis

Correct answer: 3. Mycetoma

Explanation: Ans. is. 'c' i. e. Mycetoma